In a family, mother is normal while father has a genetic disease. All their daughters are carriers and sons are normal, what is the pattern of inheritance of disease?
1. X-linked recessive
2. X-linked dominant
3. AD
4. AR

Correct answer: 1. X-linked recessive

Explanation: a. X-linked recessive(Ref: Nelson's 20/e p 595, Ghai 8/e p 640)In a X-linked recessive disease; affected male transmits the disorder to all his daughters (carriers)Sons get their X chromosome from their mother & not from their fatherHence sons of a diseased father are unaffected in X-linked diseasesIn an X-linked dominant disorder all the daughters of an affected father would be diseased and not carriers.